Hardness of water has a beneficial which one of the following
1. Renal diseases
2. Metabolic diseases
3. Cerebrovascular diseases
4. Cardiovascular diseases

Correct answer: 4. Cardiovascular diseases

Explanation: "Hardness of water appears to have a beneficial effect against cardiovascular disease" - Park 621